The most common fieid defect in papillitis is:
1. A relative central or centrocaecal scotoma
2. Enlargement of the blind spot
3. Tubular vision
4. Multiple small peripheral scotomas

Correct answer: 1. A relative central or centrocaecal scotoma

Explanation: Ans. A relative central or centrocaecal scotoma